CCF is associated with increase in all of the following, except:
1. Right atrial mean pressure
2. Serum sodium
3. Serum urea
4. Serum norepinephrine

Correct answer: 2. Serum sodium

Explanation: Congestive cardiac failure (CCF) is associated with decreased sodium levels or hyponatremia. CCF is associated with increased right atrial mean pressure, increased serum urea and increased serum nor-epinephrine. Ref: Harrison's Principles of Internal Medicine, 17th Edition, Page 1447 & 1448; 16th Edition, Page 255, 1366; CMDT2006 Edition, Page 870, 389